Sperm maturation takes place in
1. Vas deferens
2. Seminiferous tubules
3. Epididymis
4. Female genital tract

Correct answer: 3. Epididymis

Explanation: Sperm maturation takes place in epididymis. The seminiferous tubules of the testis are the starting point of the process, where spermatogonial stem cells adjacent to the inner tubule wall divide in a centripetal direction- beginning at the walls and proceeding into the innermost part or lumen to produce immature sperm. Ref - BDC 6e vol2 pg226